Surgical treatment of Ulcerative colitisa) Done in late cases onlyb) Done in cases where medical treatment fails c) Pouch surgery doned) Restorative proctocolectomy done in emergency cases
1. bc
2. c
3. ac
4. ad

Correct answer: 1. bc